Differentiating features b/w neurosis and psychosis,In psychosis -
1. Insight is preserved
2. Lack of insight
3. Personality and behavior preserved
4. None

Correct answer: 2. Lack of insight